All are true about nitrous oxide except ?
1. Laughing gas
2. Causes megaloblastic anemia
3. Causes diffusion hypoxia
4. Good muscle relaxant

Correct answer: 4. Good muscle relaxant

Explanation: Ans. is 'd' i.e., Good muscle relaxant Nitrous oxide N,O It is also called laughing gas. It has good analgesic but poor muscle relaxant activity. Second gas effect and diffusion hypoxia occur with N20 only. N20 is the only anaesthetic reported to produce hematologic toxicity and neurotoxicity with long term administration. Both toxicities are the result of the interaction of N20 with vit B12.